Dukes classification is used for ?
1. Pancreas carcinoma
2. Gastric carcinoma
3. Urinary bladder carcinoma
4. Colo-rectal carcinoma

Correct answer: 4. Colo-rectal carcinoma

Explanation: Ans. is 'd' i.e., Colo-rectal carcinoma